A person falsely perceives that his close friend has been replaced by an exact double. This phenomenon is referred to as:
1. Cotard syndrome
2. Fregoli syndrome
3. Capgras syndrome
4. Delusional perception

Correct answer: 3. Capgras syndrome

Explanation: Ans. Capgras syndrome